Which of the following is obtained by joining the midpoints of histogram blocks?
1. Pictogram
2. Frequency polygon
3. Bar chart
4. Pie chart

Correct answer: 2. Frequency polygon

Explanation: In a Pie chart, the area inside each segment is representative of a fixed percentage of the total. In case of Bar chart the length of the bar is proportional to the magnitude to be represented. A frequency polygon is a diagrammatic representation of a frequency distribution obtained by joining midpoints of histogram blocks. Ref: Park's Textbook of Preventive Medicine, 17th Edition, Page 610.